Following are the features of inhibin except:
1. Non steroidal water soluble protein
2. Secreted by Graffian follicle
3. Stimulates FSH secretion
4. Increased secretion of inhibin occurs in polycystic ovarian disease

Correct answer: 3. Stimulates FSH secretion

Explanation: Inhibin Nonsteroidal water-soluble protein Secreted by graffian follicle Suppress pituitary FSH secretion Estrogen is responsible for secretion of inhibin in graffian follicle It causes agglutination of sperms, prevent cervical mucus penetration and interferes with egg interaction In PCOS there is incresed secretion of inhibin. Ref: Shaw's Textbook of Gynaecology, 15th edition, page no: 45